Hyperkeratosis is:
1. Thinning of Stratum corneum
2. Thickening of stratum corneum
3. Thinning of stratum basale
4. Thickening of stratum basale

Correct answer: 2. Thickening of stratum corneum

Explanation: Ans. (b) Thickening of stratum corneumRef: Fitzpatrick 7th ed. / 384